Thinnest portion of sclera -
1. Anterior to rectus muscle insertion
2. Posterior to rectus muscle insertion
3. Posterior pole
4. Limbus

Correct answer: 2. Posterior to rectus muscle insertion

Explanation: Ans. is 'b' i.e., Posterior to rectus muscle insertion o Thinnest portion of sclera - Posterior to insertions of rectus muscle.o Thickest portion of sclera - Posterior pole.o The thickness of the sclera varies according to location : -At the limbus, the sclera is 0[?]8 mm thick.Anterior to the rectus muscle insertions, it is 0[?]6 mm thick.Posterior to the rectus muscle insertions, it is 0[?]3 mm thick (Thinnest portion).At the equator, it is 0[?]5 to 0[?]8 mm thick.At the posterior pole, it is greatest than 1 mm thick.